Net generation of ATP upto pyruvate in aerobic glycolysis is _______
1. 2
2. 7
3. 15
4. 35

Correct answer: 2. 7